Verres needle is used for
1. Creating pneumoperitoneum
2. Liver biopsy
3. Bone marrow biopsy
4. Spinal anaesthesisa

Correct answer: 1. Creating pneumoperitoneum

Explanation: Verres needle is used for creation of a pneumoperitoneum in closed method.Although this method is fast and relatively safe, there is a small but significant potential for intestinal or vascular injury on introduction of the needleRef: Bailey and Love 27e pg: 108